Which of the following is the feature of vegetations in Libmann Sacks endocarditis?
1. Large and fragile
2. Small way along the line of closure of valve
3. Small or medium sized on either or both sides of valve
4. Small bland vegetations

Correct answer: 3. Small or medium sized on either or both sides of valve

Explanation: Mitral and tricuspid valvulitis with small, sterile vegetations, called Libman-Sacks endocarditis, is occasionally encountered in systemic lupus erythematosus. The lesions are small (1 to 4 mm in diameter), single or multiple, sterile, pink vegetations with a way (verrucous) appearance. They may be located on the undersurfaces of the atrioventricular valves, on the valvular endocardium, on the chords, or on the mural endocardium of atria or ventricles.